Nerve commonly involved in fracture distal shaft of the Humerus is ?
1. Radial nerve
2. Medial nerve
3. Ulnar nerve
4. Circumflex brachial nerve

Correct answer: 1. Radial nerve

Explanation: Up to 18% of humeral shaft fracture is an associated radial nerve palsy, but may occur more commonly in distal third fractures. Radial nerve is commonly at risk if the fracture is at the junction of mid and distal thirds of the humeral shaft and particularly if fracture is associated with lateral displacement of distal fragment At this point the radial nerve emerges from the spiral groove and is tethered as it pierces the intermuscular septum; It cannot yeild to the lateral displacement of the distal fragment, and is therefore frequently damaged; ref : maheswari 9th ed